All signs malignant hyperthermia except
1. Reduced mixed venous oxygen tension
2. Hyperkalemia
3. Hypotension
4. Metabolic acidosis

Correct answer: 3. Hypotension

Explanation: Malignant hyperthermia is hypermetabolic state with following clinical features 1. Marked increased metabolism Increased co2 production Increased oxygen consumption Reduced mixed venous oxygen tension Metabolic acidosis Cyanosis Hyperthermia 2. Increased sympathetic activity Tachycardia Hypertension Arrhythmias 3. Muscle damage Generalized rigidity Hyperkalemia Hypernatremia Hyperphosphatemia Myoglobinuria Note : Capnograph with a sudden and progressive increase in ETCO2 is typical of malignant hyperthermia. One of the earliestandmost sensitive indicatorsof malignant hyperthermia.